Vector for transmission of Kala-azar is
1. Sandfly
2. Reduvid bug
3. Tsetse fly
4. Louse

Correct answer: 1. Sandfly

Explanation: Ans. a (Sandfly). (Ref. Textbook PSM by Park, 17th ed., 234)VectorDisease transmittedSandflykala-azar (leishmaniasis) and oriental soreReduvid bugChagas diseaseTsetse flysleeping sicknessLouseepidemic typhus